Universal matrix band retainer is also known as
1. Ivory 8 retainer
2. ToffLemke retainer
3. Sequiland retainer
4. None of the above

Correct answer: 2. ToffLemke retainer